EMQ/EMI Theme: Emergencies in the Dental Chair
A - Adrenaline 1:1000 (1 mg/ml) 
B - Adrenaline 1:10 000 (1 mg/10 ml) 
C - Aspirin oral 
D - Chlorpheniramine 
E - Diazepam 
F - Glucagon 
G - Glucose 
H - Glyceryl trinitrate spray 
I -  Hydrocortisone (IV) 
J - Oxygen 
K - Salbutamol
For each of the following scenarios, the most appropriate management option from the list above are all EXCEPT.
1 Following oral administration of a 3 g sachet of amoxicillin, a 20-yearold woman reports shortness of breath and the development of a red rash over her body.
2 A 20-year-old man in your dental surgery waiting room is shaking involuntarily, frothing at the mouth and showing signs of incontinence.
3 A 57-year-old woman with type 1 diabetes collapses in the dental chair and a dipstick shows low blood glucose.
4 While being treated, a 60-year-old man complains of severe central crushing chest pain which radiates down the left arm and nausea. The pain does not respond to glyceryl trinitrate spray and oxygen.
5 A 30-year-old known asthmatic patient has just been told that she has to lose several of her teeth. She begins to wheeze and is short of breath.
1. 1 A Adrenaline 1:1000 (1 mg/ml)
2. 2 E Diazepam
3. 3 F Glucagon
4. 4 K Salbutamol

Correct answer: 4. 4 K Salbutamol

Explanation: Correct matching should be

1 A Adrenaline 1:1000 (1 mg/ml)
2 E Diazepam
3 F Glucagon
4 C Aspirin oral
5 K Salbutamol

Treatment of medical emergencies is a pass/fail topic and should be known insideout.